Amino acid required for formation of thyroxine
1. Tryptophan
2. Tyrosine
3. Glutamine
4. Cysteine

Correct answer: 2. Tyrosine

Explanation: Metabolic role of Tyrosine * Synthesis of thyroid hormones: Thyroxine (T4) and triiodothyronine (T3) * Synthesis of catecholamines * Synthesis of melanin pigment * Formation of tyramine * Formation of phenol and cresol * Formation of tyrosine-O-sulphateRef: Textbook of medical biochemistry, MN Chatterji, 8th edition, page no: 497